Expansile lytic lesion with fluid-fluid levels within the metaphysis of fibula seen on CT and MRI in an early adolescent female is typical of –
1. Giant cell tumor
2. Aneurysmal bone cyst
3. Hemangioma
4. Fibrous dysplasia

Correct answer: 2. Aneurysmal bone cyst

Explanation: Amongst given options, fluid-fluid levels are seen in GCT and ABC.
Lesion in question is metaphyseal:-

              ABC →  Metaphyseal
             GCT →  Epiphyseal

Age of the patient is early adolescent:-

             ABC →  Before the age of 20 years
            GCT →  20 - 40 years

So, the answer to the question is ABC.